What happens to Austin flint murmur after exposure of vasodilators?
1. Accentuated
2. Softer
3. Longer duration
4. Shorter duration

Correct answer: 2. Softer

Explanation: Defective aortic valve closure and blood coming back in the ventricular chamber. | Severe Aortic Regurgitation | Austin Flint murmur | When vasodilator is used -Dilate aorta & pressure | in Aorta-Less blood flows back & murmur is softer. Note: All murmurs | in intensity with Valsalva standing & Amyl nitrate Except HOCM= Louder MVP= Longer